The cause for contact ulcer in vocal cords is:
1. Voice abuse
2. Smoking
3. TB
4. Malignancy

Correct answer: 1. Voice abuse

Explanation: Aetiology of contact ulcers is mutli factorial but the most important cause is: Voice abuse (faulty production of voice rather than excess use).